Immunoglobulin found in B lymphocyte -
1. IgA
2. IgE
3. IgG
4. IgD

Correct answer: 4. IgD

Explanation: Immunoglobulin D (IgD) is an antibody isotype that makes up about 1% of proteins in the plasma membranes of immature B-lymphocytes where it is usually coexpressed with another cell surface antibody called IgM. Reff: www.mayoclinic.com